Induction of treatment in serious fungal infections is mostly done by :
1. IV amphotericin B
2. Ketoconazole
3. 5 – Flucytosine
4. Fluconazole

Correct answer: 1. IV amphotericin B